Dysphagia for fluids but not to solids is seen in -
1. Stricture
2. Achalasia
3. Carcinoma oesophagus
4. Reflux oesophagitis

Correct answer: 2. Achalasia

Explanation: "The symptoms of Cardia achalasia include dysphagia, which is more to liquids that solids (reverse of that seen in malignancy or stricture)".
─ Dhingra